While working on the gastroenterology ward, you notice that a 47-year-old man with known liver cirrhosis has become unresponsive. You note that he flexes his elbows and wrists and only opens his eyes when you rub his sternum. He groans but does not say any words. What is this man's GCS?
1. 6
2. 7
3. 8
4. 9

Correct answer: 2. 7

Explanation: GCS Normal flexion = WITHDRAWAL (on pinching he doesn't move the same arm but withdraw the C/L arm away) i.e M=4 -Flexes his elbow and wrists = Abnormal Flexion (Decorticate posturing)i.e M = 3 -Eye response: E=2 - Groans : V=2 Therefore GCS is 7